Metabolic change seen in starvation are all except?
1. Increased gluconeogenesis
2. Increased glycolysis
3. Ketogenesis
4. Protien degradation

Correct answer: 2. Increased glycolysis

Explanation: Ans. is 'b' i.e., Increased glycolysis